What is the major problem that occurs in imparting oral hygiene instructions to adolescents?
1. Inability to understand
2. Inability to respond
3. Rebellion against the authority
4. Laziness

Correct answer: 3. Rebellion against the authority

Explanation: Teenagers are more prone to rebel against accepted norms and authority. To appear attractive and heroic to their peers, they deliberately ignore orders or instructions.